Benefits under the Employees State Insurance scheme include all the following except –
1. Dependent's benefit
2. Funeral benefit
3. Dearness allowance
4. Rehabilitation Allowance

Correct answer: 3. Dearness allowance

Explanation: Benefits to employees under ESI Act

Medical benefit
Sickness benefit
Maternity benefit
Disablement benefit
Dependant's benefit
Funeral expenses
Rehabilitation allowance